Which mosquito can fly the greatest distance –
1. Mansonia
2. AedeS
3. Anopheles
4. Culex

Correct answer: 4. Culex